A 60-year-old patient presents with recurrent TIA episodes. Echocardiography shows candle flame sign. The probable etiology of the disease is?
1. Senile calcification of heart valve
2. Rheumatic fever when he was a youth
3. Long-standing undiagnosed hypertension
4. Undiagnosed congenital condition

Correct answer: 2. Rheumatic fever when he was a youth

Explanation: The clue is candle flame sign on echo which is a feature of mitral stenosis. Hence the answer is B. In longstanding mitral stenosis, left atria appendage clots can develop. This can explain the neurological presentation of this patient. Most common valvular cause of RHD is mitral stenosis at young age .